Us(NNRTIs) include all of the following except:
1. Nevirapine
2. Delavirdine
3. Etavirine
4. Lamivudine

Correct answer: 4. Lamivudine

Explanation: Ans. d. Lamivudine